Anticariogenic vitamins are:
1. Vit.A and Vit. K
2. Vit. K and Vit. D
3. Vit. A and Vit. D
4. Vit. E and Vit. D

Correct answer: 2. Vit. K and Vit. D